Growth spurt in girls occurs in which stage of puberty?
1. Stage 2
2. Stage 3
3. Stage 4
4. Stage 5

Correct answer: 2. Stage 3

Explanation: Growth spurt in girls occurs in stage 3 of puberty Boys- occurs in stage 4.